All the following are TRUE regarding lead poisoning, EXCEPT:
1. At a cellular level it interacts with the sulfhydryl group
2. Facial pallor is one of the earliest and most consistent sign
3. Initially there may be polycythaemia
4. None of the above

Correct answer: 4. None of the above

Explanation: Though lead poisoning is associated with anemia, polychromasia, punctate basophilia, reticulocytosis and increased mononuclear cells ; it may also be associated with polycythaemia and polychromatophilia in the early stages. The facial pallor (mainly circum oral) seen in lead poisoning is believed to be due to vasospasm. Also know Lead interacts with sulfhydryl groups and interferes with the enzymes essential for heme synthesis. Ref: Textbook of Forensic Medicine and Toxicology by Narayan Reddy, Edition 21, Page - 467.